The Good prognostic factors of schizophrenia include all except
1. Age 12 yrs
2. Catatonic type
3. Female
4. More positive symptoms

Correct answer: 1. Age 12 yrs

Explanation: Age below 18years, male, insidious onset, simple and hebephrenic are usually bad prognostic factors for schizophrenia Ref: Essentials of postgraduate psychiatry By JN Vyas 1st ed Pg: 370